True statement regarding purkinje fibres:
1. Are myelinated fibres
2. Have action potential about a tenth as long as those in the heart muscle
3. Have conduction velocity of four times than that of the heart muscle
4. All of the above

Correct answer: 3. Have conduction velocity of four times than that of the heart muscle

Explanation: Ans. C: Have conduction velocity of four times than that of the heart muscleConduction rate is 4 m/s in purkinje fibers whereas it is 1 m/s in ventricular muscles, atrial pathways and Bundle of His. SA Node and AV Node has a conduction speed of 0.05 m/s